Which of the following refers to the occurrence of hyperthyroidism following administration of supplemental iodine to subjects with endemic iodine deficiency goiter?
1. Jod-Basedow effect
2. Wolff-Chaikoff effect
3. Thyrotoxicosis Factitia
4. De Quervain's Thyroiditis

Correct answer: 1. Jod-Basedow effect

Explanation: Jod Basedow Effect: Refers to induction of thyrotoxicosis by iodine in the form of dietary supplements or medication, especially especially in patients who are relatively iodide deficient. Treatment includes combination of antithyroid drugs and perchlorate particularly in amiodarone-induced thyrotoxicosis. Ref: Harrison's Internal Medicine, 18th Edition, Pages 2914, 2917, 2927, 2928, 2930 and 2932, Chapter 341 ; Acute Endocrinology: From Cause to Consequence By Greet Van Den Berghe, Page 9 ; Werner and Ingbar's Tthe Thyroid : A Fundamental and Clinical Text, Volume 549 By Lewis E. Braverman, 9th Edition, Page 548 ; Textbook of Cardiovascular Medicine, Volume 355 By Eric J. Topol, 3rd Edition, Page 598.